Plasma sterilization acuracy is assessed by using ?
1. Bacillus subtilis
2. Bacillus stereothermophilus
3. Staphylococcus aureus
4. Clostidium tetani

Correct answer: 2. Bacillus stereothermophilus

Explanation: Ans. is 'b' i.e., Bacillus stereothermophilus